3rd extensor compartment of wrist contains tendon of ?
1. ECRL
2. ECRB
3. EPL
4. EPB

Correct answer: 3. EPL

Explanation: Ans. C) EPL The third compartment contains the extensor pollicis longus tendon, which originates at the mid-ulna and inserts at the base of the first distal phalanx. In combination with the EPB tendon, it extends the thumb at the first carpometacarpal and first interphalangeal joints.